Banana shaped gametocytes in peripheral smear are seen in infection with:
1. Plasmodium vivax
2. Plasmodium malaria
3. Plasmodium falciparum
4. Plasmodium ovale

Correct answer: 3. Plasmodium falciparum

Explanation: Banana shaped or crescent shaped gametocytes are seen in P. Falciparum.